Fluid of choice for resuscitation of burn patient:
1. Hypertonic saline
2. Human albumin solution
3. Ringer lactate
4. Dextrose 5%

Correct answer: 3. Ringer lactate

Explanation: Ans: C i.e. Ringer lactate 3 types of fluids are used for fluid resuscitation of burn patients. The most common is Ringer's lactate/ Hartmann's solution; some centres use human albumin solution or fresh frozen plasma, and some centres use hypertonic saline.